Drug most commonly implicated in causing pseudo membranous colitis is :
1. Clindamycin
2. Streptomycin
3. Amoxicillin
4. Metronidazole

Correct answer: 1. Clindamycin